Which of the following types of anemia is associated with a raised MCV and normal MCHC?
1. Sideroblastic anemia
2. Vitamin B12 and Folic acid deficiency
3. Beta thalassemia
4. Iron deficiency anemia

Correct answer: 2. Vitamin B12 and Folic acid deficiency

Explanation: Megaloblastic anemia (Folate or Vitamin B12 deficiency) is associated with a raised MCV and normal MCHC. Low MCV Normal MCV Increased MCV Sideroblastic anemi Iron deficiency anemia Thalassemic disorders Anemia of inflammation/anemia of chronic disease Acute blood loss Bone marrow suppression Bone marrow invasion Aplastic anemia Chronic renal insufficiency Endocrine dysfunction Hypothyroidism Hypopituitarism Ethanol abuse Folate deficiency Vitamin B12 deficiency Myelodysplastic syndromes Acute myeloid leukemias